Hidradenitis suppurativa is found to occur in ?
1. Axilla
2. Circumanal
3. Scalp
4. All

Correct answer: 4. All

Explanation: Ans. All It is a chronic inflammatory disease culminating in suppurative skin abscesses, sinus tracts and scarring. It most commonly occurs in the skin of the axillae and groins, which contain aperine glands. Less common sites include the scalp, breast, chest and perineum.